Which of the following procedures can be replaced by the use of occlusal sealants
1. Topical fluoride application
2. Prophylactic odontotomy
3. Amalgam fillings
4. All the above

Correct answer: 2. Prophylactic odontotomy